What is Ecothiophate?
1. Directly acting cholinergic drug
2. Acetyl cholinesterase inhibitor
3. Anti cholinergic drug
4. Sympathomimetic

Correct answer: 2. Acetyl cholinesterase inhibitor

Explanation: Echothiophate is an OP compound which is an irreversible cholinesterase inhibitor Ref: KDT 6th ed pg 105